All of the following durgs are used in prophylaxis of migraine, except
1. Propanolol
2. Flunarizine
3. Tapiramate
4. Levetiracetam

Correct answer: 4. Levetiracetam

Explanation: The drugs has been approved by FDA for the prophylactic management of migraine are propranolol,timolol,sodiumvalproate,topiramate,and methysergide *Other drugs appear to display prophylactic efficacy includes amitriptyline,nortriptyline,flunarizine,phenelzine,gabapentin,topiramate,and cycloheptadine *Among these phenelzine and methysergide are usually preserved for recalcitrant cases . Ref Harrison20th edition pg 2355